After strenuous exercise, alkaline pH of skeletal muscle is in which glycogen storage disease:-
1. Mc Ardle's disease
2. Von - Gierke's disease
3. Her's disease
4. Pompe's disease

Correct answer: 1. Mc Ardle's disease

Explanation: Glycogen Phosphorylase absent an Mc Ardle's disease -lactate will not formed- alkaline PH Normal Condition